Half value layer refers to
1. The rate at which an X-ray photon transfer its energy to irradiated matter
2. The thickness of a substance required to reduce the number of X-ray photons by half
3. The time taken for X-ray photons to travel half the distance from the source to the object
4. The heel-effect seen when the anode is placed at an angle to the electron stream in the X-ray cathode tube

Correct answer: 2. The thickness of a substance required to reduce the number of X-ray photons by half